Lipid envelope is found in'which virus -
1. Reo
2. Herpes
3. Picoma
4. All of the above

Correct answer: 2. Herpes

Explanation: Ans. is 'b' i.e. Herpes